Inflammatory Carcinoma of breast is classified under -
1. T4b
2. T4c
3. T4d
4. T3

Correct answer: 3. T4d

Explanation: Answer- C. T4d Inflammatory breast carcinoma is one of the most malignant form of breast cancer. It has been specifically assigned a special T code, T4d (which falls under stage IIIb disease).